The most widely used partial denture classification
1. Kennedy
2. Kennedy-Applegate
3. Cumberland
4. None of the above

Correct answer: 1. Kennedy